Most constant and persistent feature of Ca bladder is -
1. Haematuria
2. Frequency
3. Dysuria
4. Abdominal lump

Correct answer: 1. Haematuria

Explanation: Ans. is 'a' i.e., Haematuriao Painless Hematuria is the most common presenting symptom. It may be gross or microscopic, intermittent rather than continuous.Symptoms of vesical irratibility are second most common --> Frequency, urgency, dysuria.Pain may occur rarely due to secondary clot retention, tumor extension into retroperitoneum, ureteric obustruction or metastasis to bony pelvis.